The first permanent tooth to appear is -
1. First molar
2. Lateral incisor
3. Upper canine
4. First premolar

Correct answer: 1. First molar

Explanation: First temporary tooth to appear  →  lower central incisor.
Last temporary tooth to appear  →  2nd molar
First permanent tooth to appear  → 1st molar
Last permanent tooth to appear  → 3rd molar